In leprosy, the best bactericidal agent is :
1. Clofazimine
2. Dapsone
3. Rifampicin
4. Ethionamide

Correct answer: 3. Rifampicin

Explanation: Best and the fastest acting drug for leprosy is rifampicin.
Clofazamine and dapsone are bacteriostatic agents.